Onion peeling of renal vessels is seen in-
1. Benign hypertension
2. Malignant hypertension
3. Diabetic nephropathy
4. SLE

Correct answer: 2. Malignant hypertension

Explanation: Malignant nephrosclerosis Histology: Fibrinoid necrosis and onion-skinning of arterioles. Flea-bitten kidney: It is characterized by the presence of small, pinpoints petechial hemorrhages on the cortical surface due to rupture of arterioles or glomerular capillaries. Causes of the flea-bitten kidney: Malignant hypertension Subacute bacterial endocarditis Rapidly progressive GN Henoch-Schonlein purpura. Ref: RAM DAS NAYAK EXAM PREPARATORY MANUAL FOR UNDERGRADUATES 2nd ed. pg no: 621